Which of the following is not effective against anaerobes ?
1. Gentamycin
2. Cefotetan
3. Imipenem
4. Clindamycin

Correct answer: 1. Gentamycin

Explanation: Ans. is 'a' i.e., Gentamycin